Halocrine secretion is seen in ....gland ?
1. Salivary
2. Mammary
3. Sebaceous glands
4. Gastric

Correct answer: 3. Sebaceous glands

Explanation: C i.e. Sebaceous gland The lumen of sebaceous gland is filled with secretory cells undergoing cytolysis (holocrine secretion)Q, a process where by the cells degenerate to become the oily secretory product of the gland called sebum. The duct is lined with stratified squamous epitheliumQ that has continuity with the external root sheath of hair follicle.